Which of the following is indication for using endogenous progesterone?
1. Contraception
2. For diagnostic of secondary amenorrhea
3. Endometrial hyperplasia
4. All of the above

Correct answer: 4. All of the above

Explanation: The two most frequent uses of progestins are for contraception, either alone or with an estrogen, and in combination with estrogen for hormone therapy of postmenopausal women. Progestins also are used diagnostically for secondary amenorrhea. Progestins are highly efficacious in decreasing the occurrence of endometrial hyperplasia and carcinoma caused by unopposed estrogens. Ref: Levin E.R., Hammes S.R. (2011). Chapter 40. Estrogens and Progestins. In L.L. Brunton, B.A. Chabner, B.C. Knollmann (Eds), Goodman & Gilman's The Pharmacological Basis of Therapeutics, 12e.